WHO definition of health does not include ?
1. Physical health
2. Mental health
3. Environmental health
4. Social health

Correct answer: 3. Environmental health

Explanation: Ans. is 'c' i.e., Environmental health According to WHO, "Health is a state of complete physical, mental and social well being and not merely an absence of disease or infirmity." In recent years, this statement has been amplified to include "the ability to lead a socially and economically productive life."